Most common benign lesion of vocal cord in pediatric age group is
1. Granular cell tumor
2. Chondroma
3. Juvenile papillomatosis
4. Solitary papilloma

Correct answer: 3. Juvenile papillomatosis